Myoblasts of diaphragm develop from which somites?
1. Cervical 1-3
2. Cervical 2-4
3. Cervical 3-5
4. Cervical 5-7

Correct answer: 3. Cervical 3-5

Explanation: Inderbir Singh's Human embryology Tenth edition Pg 227 The nerve supply of diaphragm from the third, fourth, and fifth cranial nerves